Barton fracture is
1. Fracture proximal radius
2. Fracture distal radius
3. Fracture ulna
4. Fracture humerus

Correct answer: 2. Fracture distal radius

Explanation: Forearm fractures DescriptionBarton's fracture Intra-articular fracture of the distal articular surface of radius Bennet's fracture dislocation Oblique intra-articular fracture of base of the first metacarpal with subluxation of trapezia-metacarpal joint Buckle/Torus fracture Occurs near metaphysis in the distal forearm in children Chauffer's fractureFracture of radius just above the styloid process caused by a backward jerk of starting handle of car Colle's fractureFracture at the coicocalcaneal junction of distal end of radius Essex lopresti's fractureComminuted fracture of radial head with distal radio-ulnar joint subluxation Galezzi's fractureFracture of the distal third of radius with dislocation of distal radioulnar joint Hume's fracture High monteggia fractureMonteggia's fracture Fracture of proximal third of ulna with dislocation of the head of radius Moore's fracture Fracture of distal end of the radius with luxation of distal end of ulna Night stick fracture Isolated transverse fracture of shaft of ulna Piedmont's fractureClosed fracture of radius at the junction of middle and distal thirds and no association with ulnar fractureSmith's fractureReverse of Colle's fracture(Refer: Mohindra's Fundamentals of Orthopedics, 2nd edition, pg no. 87, 88)